False about Blind loop syndrome
1. Also called Bacterial overgrowth syndrome
2. Macrocytic anemia due to Cobalamin deficiency
3. Malabsorption of fat soluble vitamins
4. Broad spectrum antibiotics enough for Anatomic stasis

Correct answer: 4. Broad spectrum antibiotics enough for Anatomic stasis

Explanation: Stricturoplasty or Surgical excision of blind loop is done in case of anatomic stasis.